All of the following causes death in coarctation of Aorta except:
1. Infective endocarditis
2. CCF
3. Intra cranial hemorrhage
4. Anterior MI

Correct answer: 4. Anterior MI

Explanation: Answer is D (Anterior MI)Myocardial Infarction has not been listed as a hazard /cause of death in coarctation of AortaCauses of death in coarctation of Aorta (CSDT / CMDT)Congestive Heart FailureEndo carditisAortic RuptureIntracranialHemorrhage HypertensionAortic dissectionDeath is most frequently caused by complication of Hypertension such as stroke or aortic dissection. Other causes include endocarditis and congestive heart failure